'Hand Foot' syndrome can be caused by?
1. Cisplatin
2. Capecitabine
3. Vincristine
4. Azathioprie

Correct answer: 2. Capecitabine

Explanation: Ans. is 'b' i.e., Capecitabine Hand foot syndrome o Hand foot syndrome is a form erythromyelalgia manifested as tingling, numbness, pain, erythma, swelling and increased pigmentation of hands and feet. o Two most common drugs causing 'Hand foot' syndrome are: i) Capecitabine (most common) ii) 5-FU (2nd most common) Drugs causing 'Hand foot' syndrome Commonly associated drugs o Capecitabine o Surafenib o Cytarabin o 5-FU o Doxorubicin (liposomol) Rarely associated drugs o Cisplatin o Etoposide o 6-MP o Cyclophosphamide o Hydroxyurea o Suramin o Docetaxel o Methotrexate o Paclitaxel o Daunorubicin o Mitotane